Internal Acoustic Meatus connects Inner Ear to
1. Anterior Cranial fossa
2. Middle Cranial fossa
3. Posterior Cranial fossa
4. Posterior and middle Cranial fossa

Correct answer: 3. Posterior Cranial fossa